Koeppe's nodules are type of -
1. Granulomatous uveitis
2. Non granulomatous uveitis
3. Coroiditis
4. Pars planitis

Correct answer: 1. Granulomatous uveitis

Explanation: Ans. is 'a' i.e.. Granulomatous uveitis Iris noduleso There are many types of nodules that develop on iris in granulomatous uveitis >Keoppe nodule Seen at pupillary margin.Busacca's nodule Seen on the peripheral part of anterior surface of iris.Tubercular nodules Scattered throughout the iris and ciliary body, mostly in stroma. They are more common at pupillary margin.Syphilitic nodules At pupillary margin.Sarcoid nodules At pupillary margin or in the stroma of the iris.